A 50-years old woman complains of intermittent bleeding from the left nipple over the past 3 months. No mass is palpable; but a bead of blood can be expressed from the nipple. The ideal procedure in this case would be-
1. Cytological examination of discharge and if no malignant cells, to be kept under careful observation
2. Segmental excision of breast
3. Microdochotomy
4. Simple mastectomy

Correct answer: 3. Microdochotomy